Histogram is used to describe
1. Quantitative data of a group of patients
2. Qualitative data of a group of patients
3. Data collected on nominal scale
4. Data collected on ordinal scale

Correct answer: 1. Quantitative data of a group of patients

Explanation: Histogram: - Is graphical presentation for 'continuous quantitative data' Continuous groups are marked on X-axis (abscissa) while frequencies are marked on y -axis (ordinate).